Integration of viral genome into host cell chromosome can leads to -
1. Malignancy
2. Latency
3. Altered growth
4. All of the above

Correct answer: 4. All of the above

Explanation: Ans. is 'd' i.e., All of the above o Integration of viral genomes into host cell chromosome can cause alteration in :i) Host cell surfaceii)Metabolic functioniii) Cell growth and replication patterniv) Malignant transformationv) Latent infection